Winging of scapula is due to injury to
1. Long thoracic nerve
2. Short thoracic nerve
3. Axillary nerve
4. Suprascapular nerve

Correct answer: 1. Long thoracic nerve

Explanation: Winging of scapula is due to the injury to long thoracic nerve(C5, C6, and C7). Long thoracic nerve supplies the serratus anterior muscle and injury to this nerve causes the prominence of interior angle and medial border of scapula. The patient is unable to perform pushing action. B D Chaurasia 7th edition Page no: 12